If both parents have sickle cell anemia, then the likelihood of children (offsprings) having the disease is-
1. 10%
2. 25%
3. 50%
4. 100%

Correct answer: 4. 100%

Explanation: Sickle cell anemia Inherited as AR. If both parents are affected, means both parents are homozygous for trait as recessive allele is expressed in only homozygous state. Then 100 % offsprings will inherit the disease. If Both parents are carriers then only 25% will be affected